All nerve are involved in superior orbital fissure syndrome except-
1. 1st
2. 3rd
3. 4th
4. 6th

Correct answer: 1. 1st

Explanation: *Nerve involved in superior orbital fissure syndrome are 3rd, 4th, 6th and Ophthalmic division of 5th nerve.